For partially edentulous patients, the best treatment option is?
1. Natural tooth-supported fpd
2. RPD
3. Implant-supported fpd
4. Depends on number and location of the missing teeth

Correct answer: 4. Depends on number and location of the missing teeth